For age determination of 21 year old female , site for X-ray done
1. Elbow and shoulder
2. Wrist
3. Hip and knee
4. Iliac crest and clavicle

Correct answer: 4. Iliac crest and clavicle

Explanation: D i.e. Iliac crest & clavicle The following data is used for radiologically age determination. Region selected for X Ray Age Girls Boys ElbowQ 13 -14 15 -17 WristQ 16 - 17 18 - 19 Shoulder 17-18 19-20 Crest of IliumQ 18 -19 20 - 21 Ischial Tuberosity 21 - 220 23 - 24Q Inner end of clavicle * Way of remembering : By radiological examination of wrist we can determine age of 16, 17, 18, 19; From shoulder 17, 18, 19, 20 & from crest of ilium examination 18, 19, 20, 21. These all are 4 continuous numbers starting from 16 from wrist, 17 for shoulder & 18 for crest of ilium. Also remember that Pt two years are for girls & last two for boys. Radiological examination of elbow is done for age determination before this i.e. 13 - 16 yrs. & R.E. of Ischial tuberosity & Clavicle inner end is done for 21, 22, 23, 24 age group (Ist 2 years for girls & last 2 years for boys).